Prokaryotes doesn't have
1. Cell membrane
2. Mitochondria
3. Ribosome
4. Cell wall

Correct answer: 2. Mitochondria

Explanation: Ans: b) MitochondriaKingdom protista is divided into Prokaryotes and EukaryotesProkaryotes Bacteria & blue green algaeEukaryotesFungi, slime moulds, other algae & protozoaAlmost all organelle and cell components are absent in prokaryotes which are found in EukaryotesMuramic acid and Diaminopimelic acid (cell wall precursors) are present in prokaryotes & not in EukaryotesChromosome is circular in prokaryotes (single) & more than one (linear) in eukaryotes.